Chemokine co-receptor for HIV found on macrophage is -
1. CD4
2. CD8
3. CCR5
4. CXCR4

Correct answer: 3. CCR5

Explanation: CXCR4 for T cell tropic HIV strain&CCR5 for macrophage tropic strain REF:MICROBIOLOGY ANANTHA NARAYANAN NINTH EDITION PAGE.574